Median nerve lesion at the wrist causes all of the following except -
1. Thenar atrophy
2. Weakness of Adductor pollicis
3. Weakness of 1st and 2nd lumbricals
4. Weakness of Flexor pollicis Brevis

Correct answer: 2. Weakness of Adductor pollicis

Explanation: Supply of median nerve in hand * motor- flexor pollicis brevis, opponens pollicis , abductor pollicis brevis , first & second lumbricals Sensory - palmar skin over the lateral three & a half digits with their nail bed. Adductor pollicis muscle - supply deep branch of ulnar nerve , this muscle adducts the thumb. *it can tested by using Froment sign or book test In addition to it ulnar nerve supply in hand. * motor - abductor digiti minimi , flexor digiti minimize , opponens digiti minimi , adductor pollicis , all interossei & medial 2 lumbricals. REF:Essential orthopedics, Maheshwari, 9th edition ,pg.no. 68